Teriparatide is used in treatment of:
1. Osteoporosis
2. Breast cancer
3. PCOD
4. Hyperthyroidism

Correct answer: 1. Osteoporosis

Explanation: Ans. A. OsteoporosisTeriparatide is recombinant PTH. It is given in osteoporosis as it increases the new bone formation and increase the bone mineral density.